Kaposi sarcoma is caused by:
1. HHV 17
2. HHV 8
3. HPV 16
4. Human simian virus 40

Correct answer: 2. HHV 8

Explanation: Kaposi sarcoma is caused by HHV 8.